Which Ethmoidal Air cells are related to optic nerve?
1. Onodi cells
2. Haller cells
3. Agger nasi cells
4. Mastoid air cells

Correct answer: 1. Onodi cells

Explanation: Onodi Air Cells: Bilateral aerated cavities lateral to the optic canal, extending into the anterior Glenoid processes. These are variants of the utmost posterior ethmoid cells, Onodi air cells or are otherwise known as Sphenoethmoidal air cells. Their importance is the close relation to the optic nerve and internal carotid artery and these can be potentially damaged during endoscopic sinus surgery if this variant is not recognised pre-operatively. On the left a smaller Onodi cell is noted, but aeration of the left anterior clinioid process is due to a recess of the sphenoid sinus.